Mainly cholecystokinin is secreted by:
1. Duodenum
2. Pancreas
3. Gallbladder
4. Ileum

Correct answer: 1. Duodenum

Explanation: Release of cholecystokinin (CCK) from the duodenum and proximal jejunum is triggered by long-chain fatty acids, certain essential amino acids (tryptophan, phenylalanine, valine, methionine), and gastric acid itself. CCK evokes an enzyme-rich secretion from acinar cells in the pancreas.